Inferior rib notching is seen in
1. Coarctation of aorta
2. Rickets
3. ASD
4. Multiple myeloma

Correct answer: 1. Coarctation of aorta

Explanation: A i.e. Coarctation of aorta Inferior rib notching in coarctation of aorta is d/t pressure erosion of intercostal arteriesQ It usually takes several years to develop, so is unusual before 10 years of age.